Which of the following anti-tubercular drugs act by inhibiting mycolic acid synthesis in mycobacteria?
1. Rifampicin
2. Streptomycin
3. Isoniazid
4. Ethambutol

Correct answer: 3. Isoniazid

Explanation: Isoniazid acts by inhibiting mycolic acid synthesis in mycobacteria. MECHANISM OF ACTION OF FIRST LINE ATD DRUG MECHANISM Rifampicin Inhibit transcription of RNA Isoniazid Inhibit mycolic acid synthesis Pyrazinamide Act on mycobacterial membrane Ethambutol Inhibit arabinogalactan synthesis Streptomycin Inhibit protein synthesis